Risk of malignancy in ulcerative colitis is more in -a) Onset in childhoodb) Extensive involvement of colonc) Disrupted architecture with crypt abscessesd) Pseudopolypse) Recurrence after treatment
1. ac
2. a
3. ad
4. ab

Correct answer: 4. ab

Explanation: Risk Factors for Cancer in Ulcerative Colitis patient
• The duration of colitis
• The extent of colonic involvement
• The presence of concomitant PSC and family history of CRC (regardless of the family history of IBD)
• Pancolitis (disease extending proximal to the splenic flexure) and disease diagnosed at a young age
• UC-related CRC tends to be multicentric and evenly distributed throughout the colon. Tumour tend to be infiltrative, highly aggressive and poorly differentiated.
• No significant difference between sporadic and UC-related CRC with respect to prognosis.